Which of the following properties of dental materials is time dependant?
1. Creep
2. Resilience
3. Elastic limit
4. Ultimate strength

Correct answer: 1. Creep

Explanation: If metal is held at a temperature near its melting point and is subjected to constant applied stress, the resulting strain will increase over time. Creep is defined as the time-dependent plastic strain of a material under a static load or constant stress.
Reference: PHILLIPS’ SCIENCE OF DENTAL MATERIALS, 12th ed page no 33